The enzyme diagnostic of MI in a case of hypothyroidism is
1. SGOT
2. LDH
3. Aldolase
4. CPK-MB

Correct answer: 4. CPK-MB

Explanation: Commonly used biomarkers for early detection of acute myocardial infarction are 1. Cardiac troponins, TnI and TnT 2. Creatine kinase, CK-MB 3. Myoglobin. Of these, troponins and CK-MB are the sensitive and specific markers, whereas myoglobin though sensitive, is non-specific Predictors of risk in cardiac disease are of two types: a. for predicting the onset of ischemia b. those which quantify the ventricular damage The risk predictors mainly include the atherogenic lipoproteins in plasma along with the inflammatory marker like hsCRP (high sensitive C reactive protein).Ref: DM Vasudevan